Facial development takes place b/w:
1. 4-8 week
2. 8-l0week
3. 12-14week
4. 18-20week

Correct answer: 1. 4-8 week

Explanation: Ans. a. 4-8 week Development of faceFacial development occurs mainly between 4th and 8th weeks, and is induced by migration of cells of neural crest.Five facial primordia appear as prominences of mesenchyme : a frontonasal process, a pair of maxillary processes and a pair of mandibular processes.